Single best parameter to assess fetal well being is :
1. Femur length
2. Abdominal circumference
3. Head circumference
4. Biophysical profile

Correct answer: 4. Biophysical profile

Explanation: Biophysical tests are screening for uteroplacental insufficiency Reference: Dutta's textbook of obstetrics 7th edition page no 108